Germ tube test is done for
1. Candida albicans
2. Candida tropicalis
3. Candida glabrata
4. Candida kefyr

Correct answer: 1. Candida albicans

Explanation: Germ tube test / Reynold braude phenomenon - specific test for Candida albicans Colonies are mixed with human or sheep serum & incubated for 2 hours . Wet mount preparation is examined under microscope. Germ tubes are formed , describe as long tube like projections extending from yeast cells.